All of the following conditions have autosomal dominant inheritance except -
1. Fabry disease
2. Marfan's syndrome
3. Osteogenesis imperfecta
4. Ehlers Danlos syndrome

Correct answer: 1. Fabry disease

Explanation: Ans. is 'a' i.e., Fabry's disease Autosomal dominant disorders o Normally a gene pair has two alleles. o When one allele becomes abnormal due to mutation it is called heterozygous state. o When both the alleles become abnormal due to mutation it is called homozygous state. o Autosomal dominant disorders are manifested in heterozygous state, i.e. only if one allel is abnormal the disease will be manifested.